Which of the following anaesthetic agent does not cause hypotension on injection ?
1. Ketamine
2. Propofol
3. Halothane
4. Thiopentone

Correct answer: 1. Ketamine

Explanation: Ketamine causes increase in BP.